Drug-induced lupus antibodies are found in -
1. Anti-histone antibody
2. Anti-Rho
3. Ds-DNA
4. Anti-Sm

Correct answer: 1. Anti-histone antibody

Explanation: Drug-induced lupus erythematosus 

A lupus like syndrome may develop in patients receiving a variety of drugs,
Procainamide and hydralazine are the most common offenders,
Most patients do not have symptoms of lupus erythematosus.
Anti-ds DNA antibody is rare
There is an extremely high frequency of antihistone antibodies.
Although multiple organs may be affected by renal and CNS involvement, usually does not occur.